Most common type of cataract following radiation is:
1. Posterior subcapsular
2. Anterior subcapsular
3. Tear-drop cataract
4. Diffuse cataract

Correct answer: 1. Posterior subcapsular

Explanation: Ans. Posterior subcapsular